Felon/ Whitlow is:
1. Midpalamr space infection
2. Terminal pulp space infection
3. Infection of the ulnar bursa
4. Infection of the radial bursa

Correct answer: 2. Terminal pulp space infection

Explanation: Ans. B i.e. Terminal pulp space infection